Which of the following muscle is derivative of 1" arch ?
1. Stylopharyngeus
2. Tensor tympani
3. Platysma
4. Cricothyroid

Correct answer: 2. Tensor tympani

Explanation: Ans. is 'b' i.e., Tensor tympani Tensor tympani is derived from 1" arch.